Enzyme deficient in tyrosinemia type 1 ?
1. Phenylalanine hydroxylase
2. Tyrosinase
3. Fumarylacetoacetate hydroxylase
4. Tyrosine transaminase

Correct answer: 3. Fumarylacetoacetate hydroxylase

Explanation: TyrosinemiaIt is a defect in metabolism of tyrosine. It may be of following types :-Tyrosinemia type-I (tyrosinosis/hepatorenal syndrome) :- It is due to defect in fumarylacetoacetate hydroxylase deficiency. Patients with chronic tyrosinosis are prone to develop cirrhosis and hepatic carcinoma. There is cabbage like odor in acute tyrosinosis.Tyrosinemia type - II (Richer-Hanha syndrome) :- It is due to deficiency of tyrosine transaminase (tyrosine aminotrans-ferase).Neonatal tyrosinemia : - It is due to deficiency of hydroxyphenyl pyruvate hydroxylase.